Drug used for obesity -
1. Orlistat
2. Rivatat
3. Nitousoxide
4. Phenylephrine

Correct answer: 1. Orlistat

Explanation: Orlistat inhibits pancreatic and gastric lipases and thereby decreases the hydrolysis of ingested triglycerides, reducing dietary fat absorption by approximately 30%. The drug is not absorbed and adverse side-effects relate to the effect of the resultant fat malabsorption on the gut: namely, loose stools, oily spotting, faecal urgency, flatus and the potential for malabsorption of fat-soluble vitamins. Orlistat at the standard dose of 120 mg is taken with each of the three main meals of the day; a lower dose (60 mg) is available without prescription in some countries. these effects may be explained because patients taking orlistat adhere better to low-fat diets in order to avoid unpleasant gastrointestinal side-effects. The combination of low-dose phentermine and topiramate extended release has been approved in the USA; this results in weight loss of approximately 6% greater than placebo and benefits lipids and glucose concentrations. Ref Harrison 20th edition pg 97